Congenital heart disease associated with decreased pulmonary blood flow -a) Truncus arteriosusb) TAPVCc) Ebstein's anomalyd) Complete TGAe) Single ventricle with pulmonary stenosis
1. a
2. b
3. ce
4. ae

Correct answer: 3. ce